Which of the following is a common cause of transverse lie?
1. Term fetus
2. Placental abruption
3. Oligohydramnios
4. Placenta previa

Correct answer: 4. Placenta previa

Explanation: Some of the more common causes of transverse lie include: (1) Abdominal wall relaxation from high parity, (2) Preterm fetus, (3) Placenta previa, (4) Abnormal uterine anatomy, (5) Hydramnios, (6) Contracted pelvis